All of the following statements about Nesidioblastosis are true, Except -
1. Hypoglycemic episodes may be seen
2. Occurs in adults more than children
3. Histopathology shows hyperplasia of islet cells
4. Diazoxide may be used for treatment

Correct answer: 2. Occurs in adults more than children

Explanation: An insulinoma--an insulin-secreting pancreatic islet b-cell tumor--is the prototypical cause of endogenous hyperinsulinism and therefore should be sought in patients with a compatible clinical syndrome. However, insulinoma is not the only cause of endogenous hyperinsulinism. Some patients with fasting endogenous hyperinsulinemic hypoglycemia have diffuse islet involvement with b-cell hypertrophy and sometimes hyperplasia. This pattern is commonly referred to as nesidioblastosis, although b-cells budding from ducts are not invariably found. Ref Harrisons internal medicine 20e p2887